In which of the following conditions the level of creatinine kinase 1 increases?
1. Myocardial ischemia
2. Brain Ischemia
3. Kidney damage
4. Electrical cardioversion

Correct answer: 2. Brain Ischemia

Explanation: Ans. B. Brain IschemiaLocalization of CPK isoenzymesa. CPK 1 (CPK BB) - Brainb. CPK 2 (CPK MB) - Myocardiumc. CPK 3 (CPK MM) - Skeletal muscle